Bite cells are characteristic of-
1. G6PD deficiency
2. Thallasemia
3. Hereditary spherocytosis
4. Sideroblastic anaemia

Correct answer: 1. G6PD deficiency

Explanation: Ans. is 'a' i.e., G6PD deficiency